For balanced occlusion, when condylar inclination is increased, the compensating curve should be:
1. Shallow
2. Decreased and flat
3. Increased and prominent
4. Reversed

Correct answer: 3. Increased and prominent

Explanation: Hanau’s Quint
Inter-relationship of these five factors may be described by Theilman’s Formula.
In order to maintain a balanced occlusion: